Tubal patency can be checked by all EXCEPT:
1. Hysterosalpingography
2. Laparoscopic chromotubation
3. Post coital test
4. Sonosalpingography

Correct answer: 3. Post coital test

Explanation: Ans. C i.e. Post coital test